All the following are associated with obesity EXCEPT-
1. Hypothyroidism
2. Cushing's syndrome
3. Insulinoma
4. Addison's disease

Correct answer: 4. Addison's disease

Explanation: Ref - Davidsons 23e p700